A child is brought to the paediatric OPD with fever of 24 hours furation. History reveals 3 episodes of chest infection and passage of foul smelling stools. The most probable diagnosis is
1. Cystic Fibrosis
2. Maple syrup urine Disease
3. Bilirubin Congugation Defect
4. Criggler Najar Syndrome

Correct answer: 1. Cystic Fibrosis

Explanation: The symptoms are suggestive of cystic fibrosis. Ref : Essential paediatrics,O.P.Ghai,7 th edition,pg no:369